A child presents with infective skin lesion of the leg culture was done which showed gram+ve cocci in chains which where hemolytic colonies. The test to confirm the organism is -
1. Bile solubility
2. Optochin sensitivity
3. Bacitracin sensitivity
4. Catalase positive

Correct answer: 3. Bacitracin sensitivity